Which is not a feature of neoplastic cell?
1. Hyperchromasia
2. Pleomorphism
3. Atypical mitoses
4. Nuclear cytoplasmic ratio 1:4

Correct answer: 4. Nuclear cytoplasmic ratio 1:4

Explanation: Ans: d (Nuclear cytoplasmic ratio 1:4)The hallmark of malignant transformation is anaplasia.The morphological changes in anaplasia are:-1) Pleomorphism: by both cell & nuclei2) Abnormal nuclear morphology: HyperchromasiaNuclear cytoplasmic ratio approaches 1:1 (normal is 1:4 or 1:6)Large nucleoli3) Large no of mitoses4) Loss of polarity5) Other changes: tumour giant cells